A new tooth is erupting in the mouth of a one and a half year old child. This tooth is most likely to be a deciduous:
1. Maxillary central incisor
2. Mandibular lateral incisor
3. Maxillary lateral incisor
4. Maxillary canine

Correct answer: 4. Maxillary canine